Severe obstructive sleep apnea is defined as an apnea-hypopnea index of greater than?
1. 10 events/ hour
2. 15 events/ hour
3. 20 events/ hour
4. 30 events/ hour

Correct answer: 4. 30 events/ hour

Explanation: Obstructive sleep apnea/ hypopnea syndrome quantification and severity scale is graded according to number of apnea/ hypopnea index events per hour Mild OSAHS 5 -14 events / hour Moderate OSAHS 15-29 events / hour Severe OSAHS >30 events / hour